In Medullary Carcinoma thyroid Tumour marker is-
1. TSH
2. Calcitonin
3. T3, T4 and TSH
4. Alpha Feto protein

Correct answer: 2. Calcitonin